Conditionally Essential amino acids are:
1. Leucine & Lysine
2. Histidine & Arginine
3. Tyrosine & Cysteine
4. Phenylalanine & Tryptophan

Correct answer: 3. Tyrosine & Cysteine

Explanation: Conditionally Essential Amino Acids (CEAA): Non-essential amino acids may turn essential if their precursors are limited in the body. - Among given options Tyrosine (derived from Phenylalanine) and Cysteine (derived from methionine) are CEAA. - Other CEAA include Arginine Glutamine Taurine & Glycine.